Serum contains all the clotting factors, except
1. Plasma thromboplastin
2. Labile factor
3. Hageman factor
4. Christmas factor

Correct answer: 2. Labile factor

Explanation: If whole blood is allowed to clot and the clot is removed, the remaining fluid is called serum. Serum has essentially the same composition as plasma, except that:

Fibrinogen (factor I) and clotting factors II, V, and VIII have been removed and
Has higher serotonin content, because of the breakdown of platelets during clotting.

Also, know that factor 5 is called as labile factor.